Dirt collar or grease collar is seen in -
1. Punctured wound by sharp weapon
2. Lacerated wound
3. Firearm entry wound
4. Stab wround

Correct answer: 3. Firearm entry wound

Explanation: Ans. is *c' i.e.. Firearm entry wound o Grease collar or dirt collar is seen at firearm entry wound.o It is a black colored ring lining the entrance wound on the skin.o Is produced by removal of substances from the bullet as it passes through the skin, that is, bullet lubrication, gun oil from the interior of the barrel, lead from the surface of the bullet, barrel debris, etc.o It is more marked in a distant shot and is less common if the bullet is jacketed.o It is different from the abrasion collar or contusion collar. The abrasion collar surrounds the dirt collar.o Both dirt collar and abrasion collar are proof of an entrance wround, especially from a bullet (rifled firearm weapon).